Causative organism of Kalahazar is:
1. Plasmodium ovale
2. Leishman donovani
3. Entamoeba histolytica
4. Toxoplasma

Correct answer: 2. Leishman donovani